The submerged part of cerebral cortex is
1. Insula
2. Broadman area
3. Corpus collosum
4. Pirform sulcus

Correct answer: 1. Insula

Explanation: Answer- A. InsulaFunctions of insulaInsula provides an emotional context that is suitable for a given sensory experience.It has also been shown to be associated with pain processes as well as with several basic emotions such as anger, fear, disgust, joy.